Which of the following is helpful in determining the amount of osseous respective surgery that should be done:
1. Radiograph.
2. Probing depth.
3. Sounding.
4. All of the above.

Correct answer: 4. All of the above.